Anti-calculus agent in toothpaste is
1. Cocoamidopropyl
2. Pyrophosphate
3. Fluoride
4. Lauryl sulphate

Correct answer: 2. Pyrophosphate